For lymphogranuloma venereum the drug of choice is
1. Ceftriaxone
2. Erythromycin
3. Doxycycline
4. Ampicillin

Correct answer: 3. Doxycycline

Explanation: Lymphogranuloma venereum causes potentially severe infections with possibly irreversible sequels if adequate treatment is not begun promptly. Early and accurate diagnosis is essential. Doxycycline is the drug of choice. Pregnant and lactating women should be treated with erythromycin or azithromycin. Ref kd tripati 6/e p570